Pseudomembrane over tonsil and pharynx is caused by
1. Gram positive bacili
2. Gram negative bacili
3. SS RNA virus
4. Catalase negative cocci

Correct answer: 1. Gram positive bacili

Explanation: Pseudomembrane is formed in diphtheria, which is caused by Corynebacterium diphtheria, which is a gram-positive bacillus Ref: Harshmohan textbook of pathology; 7th edition